Perforators are not present at -
1. Ankle
2. Medial calf
3. Distal to calf
4. Below inguinal ligament

Correct answer: 4. Below inguinal ligament

Explanation: Ans. is 'd' i.e., Below inguinal ligament Blood flows from the superficial to the deep veins through perforating (communicating veins) Perforators are located - below the medial malleolus (inframalleolar perforator) - in the medial calf (Cockett perforators) - just above (Dodd perforator) & below the knee (Boyd perforator) - at the level of the adductor canal (Hunterian perforator)